All are true about hypertropic obstructive cardiomyopathy except -
1. Assymmetric septal hypertrophy
2. Dilatation of atria
3. Dilatation of ventricles
4. Outflow obstruction

Correct answer: 3. Dilatation of ventricles

Explanation: Ans. is 'c' i.e., Dilatation of ventricles